Finkelstein test used for ?
1. Carpal tunnel syndrome
2. Cubital tunnel syndrome
3. De quervains tenovaginitis
4. Median nerve injury

Correct answer: 3. De quervains tenovaginitis

Explanation: Ans. is 'c' i.e., De quervainstenovaginitis